The treatment of contacts of meningococcal meningitis is by-
1. Rifampicin
2. Erythromycin
3. Penicillin
4. Cephalosporins

Correct answer: 1. Rifampicin

Explanation: Ans. is 'a' i,e., Rifampicin